Plunging ranula is ?
1. Cystic growth of sublingual gland
2. Lymph node
3. A tumor in floor of mouth
4. None

Correct answer: 1. Cystic growth of sublingual gland

Explanation: Plunging ranula:
• Extravasation cyst of sublingual salivary gland
• Cause: trauma or obstruction of duct/glandular tissue
• The cyts plunges into the submandibular region by dissecting between the fascial planes and the fllor mouth (mylohoid)